In blunt trauma abdomen what should be the approach for doing laparotomy
1. Depends on organ injured
2. Always midline incision
3. Always transverse
4. Depends upon type of injury

Correct answer: 2. Always midline incision

Explanation: Ans. is 'b' i.e. Always midline incision Repeat from All India 07All emergency abdominal explorations in adults are performed using a long midline incision because of its versatility. For children under the age of 6, a transverse incision may be advantageous.